The ventral surface of the adult heart as seen on gross examination or radiography is comprised primarily of the
1. Left atrium
2. Left ventricle
3. Inferior vena cava
4. Right ventricle

Correct answer: 4. Right ventricle

Explanation: Ventral surface(sternocostal surface) of heart is contributed by - 2/3rd of right ventricle (major contributor) 1/3rd of left ventricle Right atruim and left auricle. During embryological formation of the heart, the arterial and venous ends of the heart tube are fixed in place. As further growth continues, the heart tube folds to the right. This greatly contributes to the ventral surface of the adult heart being comprised primarily of the right ventricle.